A 40 year male presented with massive splenomegaly. There was mild hepatic enlargement also. Peripheral blood film shows cells with hair like projections; which are positive for CD 25 and CD 103 and negative for CD 23. The likely diagnosis is a :
1. Precursor B - cell neoplasm
2. Peripheral B - cell neoplasm
3. Precursor T-cell neoplasm
4. Peripheral T-cell neoplasm

Correct answer: 2. Peripheral B - cell neoplasm

Explanation: Peripheral B - cell neoplasm Hairy cells on peripheral blood smear and CD 103 positivity are diagnostic of hairy cell leukemia which is a peripheral B cell neoplasm.